Pulmonary surfactant is secreted by
1. Type I pneumocytes
2. Type II pneumocytes
3. Clara cells
4. Bronchial epithelial cells

Correct answer: 2. Type II pneumocytes

Explanation: Ans. (b) Type II pneumocytes(Ref: Ganong, 25th ed/p.630)Surfactant is synthesized, secreted, and recycled by alveolar type II cells